Xerophthalmia Grade X-3A -
1. Corneal xerosis
2. Bitot spot
3. Corneal ulcer involving less than 1/3 of corneal surface
4. Corneal ulcer involving more than 1/3 of corneal surface

Correct answer: 3. Corneal ulcer involving less than 1/3 of corneal surface

Explanation: Ans. is 'c' i.e., Corneal ulcer involving less than 1/3 of corneal surface o WHO classification of xerophthalmiaXN Night blindnessXIA Conjunctival xerosisXIB Bitot's spotsX2 Corneal xerosisX3A Corneal ulceration/keratomalacia affecting less than one-third corneal surfaceX3B Corneal ulceration/keratomalacia affecting more than one-third corneal surfaceXS Corneal scar due to xerophthalmiaXF Xerophthalmic fundus